Most commonly uterine fibroid presents as heavy menstrual bleeding. Most likely cause is
1. Hormonal imbalance
2. Dilated endometrial venules
3. Ruptured fibroids
4. Torsion of fibroids

Correct answer: 2. Dilated endometrial venules

Explanation: Dysregulation of local vasoactive growth factors is known to cause dilatation of endometrial venules which causes heavy menstrual bleeding.